A 25-year-old woman complains of headache for 4 months duration. She is obese and has bilateral papilledema, and her vision is deteriorating. Her opening CSF pressure is elevated; other CSF findings are normal. CT and MRI scans are normal. These signs are due to the result of impairment of CSF egress. At which of the following loci is obstruction most likely?
1. Arachnoid villi
2. Cerebral aqueduct
3. Foramen of Luschka (lateral)
4. Foramen of Magendie (median)

Correct answer: 1. Arachnoid villi

Explanation: Condition - Pseudotumor cerebri (benign intracranial hypertension), seen primarily in young obese women between the age of 20 and 50. -likely due to high pressure within the skull caused by the buildup or poor absorption of cerebrospinal fluid (CSF) by Arachnoid villi activity. -Symptoms of pseudotumor cerebri include headache, nausea, vomiting, and pulsating sounds within the head, closely mimic symptoms of large brain tumors.